Motor protein in organ of corti -
1. Kinesin
2. Albumin
3. Dynein
4. Myosin

Correct answer: 4. Myosin

Explanation: Ans. is 'd'i.e.. Myosin o The inner hair cells of organ of corti have 50-200 ciliated structure called stereocilia.o The top of each stereocilium is linked to the side of next adjacent higher stereocilium by means of a thin filamentous strucuture called the tip-link.o Mechanically gated ion channels are located at these attachment points on the sides of stereocilia.o Each stereocilium comprises of several actin filaments encased by a plasma membrane.o The opening and closing of the ion channels is accomplished through the binding and unbinding of proteins at terminal ends of the tip links with a group of channel motor proteins (myosin) which move up and down the actin filaments of stereocilia.